The highest E.S.R. is seen in following conditions except:
1. Polymyositis rheumatica
2. Multiple myeloma
3. Temporal activities
4. Polycythemia rubra

Correct answer: 4. Polycythemia rubra

Explanation: Polycythemia rubra